True about Buerger’s disease are all except
1. Seen in old males > 40 years old
2. Involve small and medium sized vessels
3. Symptoms of peripheral arterial insufficiency is seen in both lower and upper limbs
4. None of the above

Correct answer: 1. Seen in old males > 40 years old